RMP of the neuron is
1. -700 V
2. - 7 V
3. -170 mV
4. -70 mV

Correct answer: 4. -70 mV

Explanation: Resting membrane potential (RMP) - It is the potential difference between inside and outside of the membrane of a cell at a resting state.
RMP is maintained by K+ ion. The value for RMP varies for different kinds of tissues.
RMP of various tissues are given below RMP of a neuron is: -70 mV, RMP of cardiac muscle: —90 mV, RMP of skeletal muscle: -90 mV, RMP of smooth muscle: -50 mV. Note: RMP is maintained by K+ ion. RMP is close to isoelectric, the potential of Cl–  Changes in the external K+ concentration affect the RMP Changes in the external Na+ concentration affect the action potential and not the RMP